Increased B12 level is seen in all, except:
1. Cirrhosis
2. Primary hepatocellular Ca
3. Hepatitis
4. Cholestatic jaundice

Correct answer: 4. Cholestatic jaundice

Explanation: Answer is D (Cholestatic jaundice)